Band shaped keratopathy is caused by:
1. Amyloid
2. Calcium
3. Monopolysaccharide
4. Lipid

Correct answer: 2. Calcium

Explanation: Ans. is 'b' i.e. Calcium Band keratopathy is characterized by the deposition of calcium salts in a band-like pattern in the anterior layers of the cornea.The keratopathy is usually limited to the interpalpebral area.Symptoms include irritation, injection, and blurring of vision.EtiologyBand keratopathy is a common condition in chronic uveitis, especially in blind shrunken eyes, and in children suffering from Still disease. it is also common in aphakic eyes who have undergone vitrectomy with silicone oil if the oil is allowed to remain in the eye for long.Occasionally it is seen in hyperparathyroidism vitamin D intoxication sarcoidosis leprosyTreatment consists of removal of the opacity by curettage under topical anaesthesia followed by irrigation of the cornea with EDTA. The opacity can also be removed by excimer laser (phototherapeutic keratectomy).